True about Histone protein:
1. Ribonucleoprotein
2. Present inside the nucleus
3. Acidic
4. None

Correct answer: 2. Present inside the nucleus

Explanation: B i.e. Present inside the nucleus;